Superior suprarenal artery originates from:
1. Abdominal aorta
2. Renal artery
3. Inferior phrenic artery
4. Splenic artery

Correct answer: 3. Inferior phrenic artery

Explanation: Inferior phrenic artery